A newborn presented with bloated abdomen shortly after birth with passage of less meconium. A full thickness biopsy of the rectum was carried out. Which one of the following rectal biopsy findings is most likely to be present?
1. Fibrosis of submucosa
2. Hyalinization of the muscular coat
3. Thickened muscularis propria
4. Lack of ganglion cells

Correct answer: 4. Lack of ganglion cells

Explanation: Hirschsprung's disease:- Absence of ganglion cells- M/C part - rectum > Sigmoid- Affected segment - Contracted / Narrowed - Longer & narrower the segment - More are S/S of Intestinal obstruction Dx -Full thickness Rectal biopsy